Most common extranodal site for non-hodkin's lymphoma is -
1. Stomach
2. Brain
3. Intestines
4. Tonsils

Correct answer: 1. Stomach